Which of the following Hi blocker has high anticholinergic activity-
1. Cetrizine
2. Chlorpheniramine
3. Fexofenadine
4. Astemizole

Correct answer: 2. Chlorpheniramine

Explanation: Ans. is 'b' i.e., Chlorpheniramine First generation antihistaminics have anticholinergic property. Among the given options, only chlorpheniramine is first generation compound.